The expression of the following oncogene is associated with a high incidence of medullary carcinoma of thyroid:
1. p 53
2. Her 2 neu
3. RET proto oncogene
4. Rb gene

Correct answer: 3. RET proto oncogene

Explanation: - RET proto-oncogene is mutation is associated with medullary carcinoma of thyroid - RET proto-oncogene is mutated in MEN-2A & 2B syndromes, hence these are also associated with medullary carcinoma of thyroid. - Prophylactic thyroidectomy is indicated in pt with family history of RET mutation